Jumping gene is -
1. Transposon
2. Episome
3. Cosmid
4. Plasmid

Correct answer: 1. Transposon

Explanation: Ans. is 'a' i.e., Transposon Transposon . Also known as jumping genes. . Transposon is a segment of DNA with one or more genes in the centre. . It has ability to move around in a 'cut-and-paste' manner between chromosomal and extrachromosomal DNA. . Transposons attach at certain regions of chromosomal, plasmid or phage DNA. . Insertion of a transposon leads to the acquisition of new characteristics by the recipient DNA molecules. . Unlike plasmid, transposons are not self replicating, and depend on chromosomal or plasmid DNA for replication. Plasmid . Plasmids are circular DNA molecules present in cytoplasm (extrachromosomal) of bacteria, capable of independent replication. Episome . When plasmid DNA is integrated into the host chromosome, it is known as episome.